Creola bodies are seen in -
1. Bronchial asthma
2. Chronicbronchitis
3. Emphysema
4. Bronchiectatsis

Correct answer: 1. Bronchial asthma

Explanation: Ans. is 'a' i.e., Bronchial asthma o Creola bodies are a histopathologic finding indicative of bronchial asthma.o Found in a patient's sputum, they are ciliated columnar cells sloughed from the bronchial mucosa of a patient with asthma.o Other common findings in the sputum of asthma patients include.Charcot-Leyden crystalsCurschmann's SpiralsEosinophils